Felon means infection of:
1. Epinychium
2. Terminal pulp space
3. Deep palmar abscess
4. Subcuticular space

Correct answer: 2. Terminal pulp space

Explanation: Ans. (b) Terminal pulp spaceRef: Maheshwari 5th ed./206* Felons/Whitlow are closed-space infections of the fingertip pulp. Infection occurring within these compartments can lead to abscess formation, edema, and rapid development of increased pressure in a closed space. This increased pressure may compromise blood flow and lead to necrosis of the skin and pulp.* Clinical feature: Felons are characterized by marked throbbing pain, tension, and edema of the fingertip pulp.* Causes: Staphylococcus aureus, is the most common cause.* Management: The felon should be incised in the area of maximum tenderness. The incision should not cross the distal interphalangeal (DIP) joint to prevent formation of a flexion contracture at the DIP flexion crease. Probing is not carried out proximally to avoid extension of infection into the flexor tendon sheath.* Complication of felon: Osteomyelitis > Tenosynovitis